Loading drug of dose primarily depends on
1. Volume of distribution
2. Clearance
3. Rate of administration
4. Half life

Correct answer: 1. Volume of distribution

Explanation: Loading dose; This is a single or few quickly repeated doses given in the beginning to attain target concentration rapidly.
Loading dose = Target Cp * V /F
Cp - concentration, V - volume of distribution, F - oral bioavailability
Thus, the loading dose is governed only by V and not by Clearance or t1/2